All of the following are true about Helicobacter pylori except:
1. About 50% of world population affected
2. 85% of population is affected, in some developing countries
3. All children in developing countries have immunity by five years of age
4. Infection is common in low socio-economic status

Correct answer: 3. All children in developing countries have immunity by five years of age

Explanation: Ans. is 'c' i.e., All children in developing countries have immunity by five years of age(Ref: Harrison, 16th/e, p. 886,19th/e, p. 1038; Ananthanarayan, 9th/e, p. 400)* Duodenal ulcer (80%) and Gastric ulcer (60%) are associated with H. pylori.* Gastric adenocarcinoma, gastric MALT lymphoma, Autoimmune gastritis, Hyperacidity.* Chronic gastritis in adults due to the reinfection and Treatment prevents the gastric lymphoma.* Approximately 50% of world population and 85% of developing countries are affected by H. pylori.